Lacunar Reed Sternberg cell is found in which type of Hodgkin's lymphoma?
1. Mixed cellularity
2. Lymphocyte rich
3. Nodular sclerosis
4. Lymphocyte depleted

Correct answer: 3. Nodular sclerosis

Explanation: Ref: Harsh Mohan, 7th ed. pg. 350Type of Hodgkin's lymphomaNodular sclerosisMost common type of Hodgkin lymphomaLacunar Reed-Sternberg cell variants in a mixed inflammatory background; broad sclerotic bands of collagen usually also presentCD15+, CD30+ Reed- Sternberg cellsMost common in young adults, often arises in the mediastinum cervical lymph nodesMixed celiularity typeSecond most common form of Hodgkin lymphomaFrequent classic Reed-Sternberg cells in a mixed inflammatory backgroundCD15+, CD30+, Reed-Sternberg cellsMost common in men, more likely to present at advanced stages than the nodular sclerosis type EBV+in 70% of cases